A 4-year-old male with intellectual disability, self-mutilation, and hyperuricemia is likely to have a deficiency of an enzyme involved in the:
1. Conversion of homogentisic acid to methylacetoacetate
2. Degradation of galactocerebroside
3. Breakdown of branched-chain amino acids
4. Recycling of guanine and hypoxanthine

Correct answer: 4. Recycling of guanine and hypoxanthine

Explanation: Adenosine deaminase is an enzyme that is deficient in individuals with the autosomal recessive form of SCID, and hypoxanthine-guanine phosphoribosyl transferase (HGPRT), an enzyme of the purine salvage pathway for recycling guanine and hypoxanthine that is deficient in individuals with the X-linked recessive disorder Lesch-Nyhan syndrome.